Chyme is formed by
1. Esophagus
2. Stomach
3. Duodenum
4. Jejunum

Correct answer: 2. Stomach

Explanation: Stomach the semifluid, homogeneous, creamy or gruel- like material produced by action of the gastric juice on ingested food in the stomach Ref: guyton and hall textbook of medical physiology 12th edition page number:395,396,397